What is the drug of choice for Obsessive Compulsive Disorder?
1. Imipramine
2. Fluoxetine
3. Benzodiazepines
4. Alprazolam

Correct answer: 2. Fluoxetine

Explanation: Ans. (B) Fluoxetine(Ref: Harrison 17/e p2715; CMDT 2010/943; KDT 8/e p492)SSRIs are drug of choice for most of the neurotic disorders including OCD.